All of the following can precipitate the attack of narrow angle except:
1. Prolonged prone position
2. Mydriatics
3. Prolonged work in bright light
4. Emotional upsets

Correct answer: 3. Prolonged work in bright light

Explanation: Ans. Prolonged work in bright light